A female patient is diagnosed with primary herpes genitalis. Which of the following should be the treatment advice?
1. "Apply one applicator of Terconazole intravaginally at bedtime for 7 days."
2. "Apply one applicator of Sulconazole intravaginally at bedtime for 7 days."
3. Acyclovir 200mg ; five times a day for 7 days."
4. "Apply Acyclovir twice daily by massaging it gently into the lesions for 3 days."

Correct answer: 3. Acyclovir 200mg ; five times a day for 7 days."

Explanation: A patient with primary herpes genitalis : Acyclovir 200mg ; 5 times a day for 7 days Or 400mg, 3 times a day for 7 days. Terconazole and Tioconazole are used to treat vulvovaginal candidiasis. Sulconazole nitrate is used to treat tinea versicolor.